All of the following are STD except:
1. Herpes
2. Scabies
3. Candida
4. Leprosy

Correct answer: 4. Leprosy

Explanation: Leprosy is not sexually transmitted.